Which of the following is the earliest conclusive evidence of intrauterine death :
1. Shrinking of body
2. Intra-aortic gas
3. Increased curvature of spine
4. Spalding sign

Correct answer: 2. Intra-aortic gas

Explanation: Intra-aortic gas